Which of the following is/are true about medial longitudinal fasciculus (MLF) and its lesion except
1. Unilateral lesion result in adduction palsy of opposite eye
2. MLF connects sixth cranial nerve nucleus of one side with the third cranial nerve nucleus of the other side
3. MLF is responsible for conjugate eye movements
4. It is an integral component of saccadic eye movements

Correct answer: 1. Unilateral lesion result in adduction palsy of opposite eye

Explanation: Ans. (a) Unilateral lesion result in adduction palsy of opposite eyeRef: Kanski 7/c, p. 839MLF lesion leads to contralateral gaze defect with ipsilateral adduction defect.It helps in horizontal gaze, that is both eyes moving towards right or left, Conjugate or version movement